The risk of recurrence of congenital heart disease is
1. 0.80%
2. 1%
3. 2-6%
4. 10-12%

Correct answer: 3. 2-6%

Explanation: The incidence of congenital heart disease in the normal population is 0.8%.The risk increases to 2-6% for a second child if the sibling is having congenital heart disease(recurrence) or if the parent is affected.When two 1st degree relatives have congenital heart disease, the risk for the subsequent child may reach 20-30%.VSD30-35%ASD(SECUNDUM)6-8%PDA6-8%TOF5-7%